All of the following are the actions of beta blockers in heart failure except:
1. Decrease mortality
2. Antagonism of vasoconstriction
3. Prevent pathological remodeling
4. Prevent cardiac arrhythmias

Correct answer: 2. Antagonism of vasoconstriction

Explanation: Ans. B. Antagonism of vasoconstrictionBeta blockers actually cause vasoconstriction via antagonizing the vasodilation caused by beta 2 receptor. Rest all are the pharmacological actions of beta blockers.